Difference between antemortem & postmortem blisters:
1. Size
2. Colour of the blister fluid
3. Chloride and art albumin content
4. PM blister is dry

Correct answer: 3. Chloride and art albumin content

Explanation: C i.e. Chloride and albumin content